A lady G2P1 with 10 wks pregnancy with one live child has ocular toxoplasmosis. The risk of present baby to get infected is:
1. 50%
2. 25%
3. 100%
4. Nil

Correct answer: 4. Nil

Explanation: Ans. is d, i.e. NilRef. Harrison 17/e, p 1306The woman, who has already given birth to a child with congenital toxoplasmosis, now has no risk of transmitting it to the present baby because "women who are seropositive before pregnancy usually are protected against acute infection and do not give birth to congenitally infected neonates".Remember:Timing of Maternal InfectionRisk of Transmission* In previous pregnancy* >6 months before conception* <6 months before conception* In first trimester* In third trimester* No risk in future pregnancy* No risk in pregnancy* Risk increases as the interval between infection and conception decreases* Risk is less (15%), but disease is severe* Risk is maximum (60%), but disease is mild